A Female patient aged 40 years comes for routine general examination. Full mouth radiographs are taken. Oval shaped radiolucent areas are seen in the root canals of maxillary central incisors Teeth are asymptomatic and show feeble response to vitality tests.

What is your line of treatment?
1. Keep the teeth under observation of call the patient after 3 months
2. Suggest root canal treatment
3. Suggest OPG for confirmatory diagnosis
4. Do test cavity

Correct answer: 2. Suggest root canal treatment